Which among the following represent the treatment of choice for a mucocele of gallbladder?
1. Aspiration of mucus
2. Cholecystectomy
3. Cholecystostomy
4. Antibiotics and observation

Correct answer: 2. Cholecystectomy

Explanation: Cholecystectomy is indicated in the treatment of mucocele of the gallbladder as empyema, perforation or gangrene can complicate this condition. Mucocele of the gallbladder result from prolonged obstruction of the cystic duct, usually by a large solitary calculus. On physical examination, an easily palpable nontender mass may be palpable in the RUQ. Patients usually remaining asymptomatic while some develops chronic RUO pain. Empyema of the gallbladder results from progression of acute cholecystitis with persistent cystic duct obstruction to superinfection of the stagnant bile with a pus-forming bacterial organism. Emergency surgical intervention with proper antibiotic coverage is the treatment of choice. Ref: Harrison's Principles of Internal Medicine, 18e chapter 311.